Antagonist of heparin is -
1. Protamine
2. Vitamin KWarfarin
3. Warfarin
4. Fresh frozen plasma

Correct answer: 1. Protamine

Explanation: Ans. is 'a' i.e., Protamine